A child with complaints of cough. Characteristic inspiratory whoop. Sample for investigation is ?
1. Nasopharyngeal swab
2. Tracheal aspiration
3. Cough plate culture
4. Sputum culture

Correct answer: 1. Nasopharyngeal swab

Explanation: Ans. is 'a' i.e., Nasopharyngeal swab "Culture of nasopharyngeal secretion remains the gold stadard for diagnosis of whooping cough"